Primary prevention includes
1. Immunization
2. Chorionic villi sampling
3. Pap smear
4. Self breast examination

Correct answer: 1. Immunization

Explanation: Primary prevention is defined as action taken prior to the onset of the disease which removes the possibility that a disease will ever occur. It includes health promotion and specific protection. Health promotion includes health education + environmental modifications+ nutritional interventions+ lifestyle and behavioral changes. Specific protection- fundamental public health measures and activities such as sanitation; infection control; immunization; protection of food, milk, and water supplies; environmental protection; and protection against occupational hazards and accidents, chemoprophylaxis, use of specific nutrients. Reference: Park's Textbook of Preventive and Social Medicine, 24th edition, Page no. 47